Auditory fatigue occurs at------Hz –
1. 2000
2. 3000
3. 4000
4. 8000

Correct answer: 3. 4000